Most common renal tumour is
1. Renal cell carcinoma
2. Wilm's tumour
3. Squamous cell carcinoma of the renal pelvis
4. Transitional cell carcinoma of the renal pelvis

Correct answer: 1. Renal cell carcinoma

Explanation: (Renal cell carcinoma) (1329-30-LB) (1309-B &L 25th)Renal neoplasmBenignMalignant neoplasms* Adenoma* Wilm's tumour (Nephroblastoma in children)* Angioma* Grawitz tumour (Adenocarcinoma, hypernephroma)* Angiomyolipoma* Transitional cell carcinoma of the renal pelvis and collecting system* Squamous carcinoma of the renal pelvis* Renal cell carcinoma (Hypernephroma, Grawitz tumour). This is adenocarcinoma and is the most common neoplasm (75%) of the kidney.